Vaccine preventable cancer is?
1. Endometrial cancer
2. Breast cancer
3. Cancer cervix
4. Ovarian cancer

Correct answer: 3. Cancer cervix

Explanation: Ans. (c) Cancer cervixRef: Novak's gyne 15th ed ch-19.P 581 223.